False statement regarding folic acid supplementation?
1. Preconceptionally given for prevention of neural tube defects
2. Fortified in all wheat products in India like as in USA
3. It is present in leafy vegetables, spinach, paneer
4. Requirement per day in pregnancy is 500 mcg

Correct answer: 2. Fortified in all wheat products in India like as in USA

Explanation: FOLIC ACID

India has NOT YET adopted recommendation of fortification of all wheat products in India with Folic acid
Preconceptionally given for prevention of neural tube defects
It is present in leafy vegetables, spinach, paneer
Requirement per day in pregnancy is 500 mcg